Steeple sign is characteristis of -
1. Acute epiglotitis
2. Laryngotrancheobronchitis
3. In both
4. None of above

Correct answer: 2. Laryngotrancheobronchitis

Explanation: Ans. is 'b' i.e., Laryngotrancheobronchitis Croupy Me cause of acute upper airway obstruction.Mild upper RTI for 1-3 days followed by upper airway obstruction.Barking cough, hoarsness, Inspiratory stridor.X-ray shows subglottic narrowing or steeple sign.Acute epiglottitisy Acute potential fatal condition.Redpirafry progressine respiratory obstruction.Cherry red swollen epiglottis.X-ray shows thumb signy The steeple sign as seen on an anteroposterior neck X-ray of a child with croup